Egg is ideal protein because it has -
1. High cholesterol
2. High protein per 100 gm
3. High biological efficiency and NPU
4. No limiting amino acid

Correct answer: 3. High biological efficiency and NPU

Explanation: - egg is considered to be the best among food proteins because of their high biological value and digestibility. - it is considered as the reference protein. Reference : Park's textbook of preventive and social medicine, 25th edition, pg no:687